First sign of puberty in girls:
1. Puberchy
2. Thelarchy
3. Growth spurt
4. Menarche

Correct answer: 2. Thelarchy

Explanation: Ans. is 'b' i.e., Tbelarchy * In girls, the first visible sign of puberty is the appearance of breast buds (Thelarche), between 8-12 years of age.* In boys the first visible sign of puberty is testicular enlargement, beginning as early as 9 1/2 yr.